Investigation of choice of hyperprolactinemia-
1. TRH estimation
2. LH estimation
3. Prolactin estimation
4. Estradiol estimation

Correct answer: 3. Prolactin estimation

Explanation: Diagnosis of Hyperprolactinemia

Hyperprolactinemia is common in young women and plasma prolactin should be measured in women with amenorrhoea whether or not galactorrhoea is present.
​Diagnosis of hyperprolactinemia is established by measuring fasting morning prolactin level.
Hormone secretion is pulsatile and vary widely therefore it is necessary to measure hormone levels on several different occasions.

Prolactin level

> 200 ng/ml  →           Occur only in prolactinoma
100-200 ng/ml  →   Strongly suggest prolactinoma
< 100 ng/ml    →      Due to any cause except prolactin secreting adenoma.